Effect of parasympathetic stimulation on saliva production is
1. Causes high volume, thick viscous secretion
2. Causes small volume, watery secretion
3. Causes high volume, watery secretion
4. Causes small volume, thick viscous secretion

Correct answer: 3. Causes high volume, watery secretion

Explanation: Regulation of saliva production :

Parasympathetic ⇒ High volume, watery enzyme rich secretion.
Sympathetic ⇒ small volume,.thick viscous mucus  secretion.